Best drug for management of eclampsia:
1. MgSO4
2. Lytic cocktail regime
3. Phenytoin
4. Diazepam

Correct answer: 1. MgSO4

Explanation: The drug of choice for control and prevention of convulsion in eclampsia is magnesium sulphate ,usually given by Pritchard's regime.The mechanism of action thought to have a peripheral action at the neuromuscular junction,by competing with calcium for entry into the cells.It may also have central action. TEXT BOOK OF OBSTETRICS,Sheila Balakrishnan,2nd edition,page no.268